Which of the following is least likely to cause weight gain?
1. Clozapine
2. Molindone
3. Perphenazine
4. Chlorpromazine

Correct answer: 2. Molindone

Explanation: Pimozide and molindone are typical antipsychotic drugs. There is no significant difference in efficacy between these newer typical and the older typical antipsychotic drugs.The side effect profile of molindone is similar to that of other typical antipsychotics. Unlike most antipsychotics, molindone use is associated with weight loss.Ref: Harper's Biochemistry; 12th edition; Page no: 514